Which of the following statements is(are) true concerning the evaluation of the occlusion on a cast restoration?
1. The restoration is in proper occlusion, if it holds shim stock.
2. The restoration is in proper occlusion, if the adjacent teeth hold shim stock.
3. The restoration is in proper occlusion, when articulating paper marks multiple points of contact on the restoration.
4. All of the above.

Correct answer: 4. All of the above.

Explanation: When checking the occlusion of a cast restoration, mylar paper or shim stock is a very accurate method for testing occlusal contacts. The procedure is to check with the mylar paper before placing the restoration in the teeth adjacent to the tooth to be restored and the opposing side. Place the restoration and check whether the same occlusal contacts are maintained on the tested teeth. When all teeth, including the one being restored, hold the mylar paper upon occluding and even, articulating markings are present, then occlusion contacts are correct.